Which of the following is approved for the treatment of cystic fibrosis with G551D mutation?
1. Biostrophin
2. Peginesatide
3. Lumacaftor
4. Ivacaftor

Correct answer: 4. Ivacaftor

Explanation: Biostrophin is a vehicle for gene therapy in Duchenne and Becker's muscular dystrophyPeginesatide is an erythropoietin analog for anemia of chronic kidney diseaseLumacaftor is a CFTR potentiator for cystic fibrosis with F508 mutationIvacaftor is a CFTR potentiator for cystic fibrosis with G551D mutation